'Macewan sign' is seen in:
1. Alcoholic intoxication
2. Organophosphorus poisoning
3. Barbiturate poisoning
4. Dhatura poisoning

Correct answer: 1. Alcoholic intoxication

Explanation: A i.e. Alcohol intoxication - Loss of judgment (ie poor judgment), loss of capacity for self criticism and decreased skilled motor movements are seen at 80 to 150 mg% of blood alcoholQ. - Mac Ewan's signQ, Morbid jealousyQ, Micturation syncope & Munich beer heart and alcohol gaze nystagmusare found in alcohol intoxication. In the stage of coma (or narcosis) of alcohol intoxication the pupils are contracted but stimulation of patient e.g. by pinching or slapping, causes them to dialate with a slow return to original size (k/a Mac Ewan's Sign). It differentiate alcoholic coma from other comatose conditions. 150-250 ml of absolute alcohol consumed in an hour is fatalQ Micturation syncope (i.e. loss of consciousness) occurs after heavy beer drinking, when the person rises from bed in middle of night to pass urine, probably d/t sudden upright posture. Munich beer heart is cardiac dilatation & hypertrophy seen d/t excessive & prolonged beer drinking. Alcohol gaze nystagmus are jerking movements in directions of gaze & independent of position of head and appears at blood alcohol levels of 80 (40-100)mg%.